The uncommon change to occur in a myoma is :
1. Calcification
2. Red degeneration
3. Malignant change
4. Hyaline change

Correct answer: 3. Malignant change

Explanation: Malignant change